Which of the following is an example of Type IV hypersensitivity-
1. Arthrus reaction
2. Serum sickness
3. Shwartzman reaction
4. Granulomatous reaction

Correct answer: 4. Granulomatous reaction

Explanation: Granulomatous reaction is a type of type 4. Example of Type IV hypersensitivity: Granuloma formation seen in: Tuberculosis, sarcoidosis, schistosomiasis and other trematode infections and Lepra reaction type I. Skin tests: Tuberculin test (Mantoux test / PPD test), Lepromin test, Montenegro test (leishmaniasis), Frie test (LGV). Contact dermatitis Chronic transplant rejection and Graft-versus-host disease. Common expamples of Type III HSN reaction: Arthus reaction Serum sickness Glomerulonephtiritis Rheumatoid arthritis TNFa is primarily responsible for Shwartzman reaction, in which repeated injection of LPS (obtained from gram negative cell wall) into a solid tissue leads to hemorrhagic infarction.